Large intracytoplasmic glycogen storage is found in
1. Fibrous dysplasia
2. Adamantinoma
3. Ewing's sarcoma
4. Osteoclastoma

Correct answer: 3. Ewing's sarcoma